A Pediatric patient posted for surgery should be rescheduled in all of the following condition except-
1. Fever (>38.5degC)
2. Purulent secretion
3. Wheeze present
4. Obstructive sleep apnea

Correct answer: 4. Obstructive sleep apnea

Explanation: Surgery is pediatric patient should be rescheduled if there is sign of recent infection. Signs of recent infections Fever (>38.5degC) Wheeze present Obstructive sleep apnea is not sign of recent respiratory tract infection.